Medullary ca of thyroid is associated with increase in?
1. Calcitonin
2. Thyroglobulin
3. T3
4. T4

Correct answer: 1. Calcitonin

Explanation: Ans. is 'a' i.e., Calcitonin The cells of medullary carcinomas, similar to normal cells, secrete calcitonin. In some instance other hormones are secreted such as somatostatin, serotonin, and VIP. Medullary carcinoma thyroid Accounts for approximately 7% of malignant tumour of thyroid. It arises from ultimobranchial bodies (from the parafollicular C cells derived from neural crest and not from thyroid follicles). It contains amyloid stroma Familial medullary carcinoms occurs in 25% of patients (Marfanoid habitus, Amyloidosis and Hirschsprung's disease also occur in patients with familial medullary cancer). Medullary carcinoma occurs in association with (MEN) syndrome. All patients with medullary carcinoma of thyroid should be screened for RET point mutation on chromosome 10. Medullary Ca thyroid secretes calcitonin, this cause hypocalcemia. Calcitonin also acts as tumour marker. Involvement of lymph node is very common in medullary carcinoma. It is seen in 50-60% of cases.